In gingivitis, the immunoglobulins are consistent with the increase in number of
1. Fibroblasts
2. Neutrophils
3. Lymphocytes
4. Plasma cells

Correct answer: 4. Plasma cells